Femoral sheath contains all except
1. Femoral artery
2. Femoral vein
3. Femoral nerve
4. Lymph node

Correct answer: 3. Femoral nerve